Sunray appearance in osteosarcoma is due to:
1. Bone destruction
2. Periosteal reaction
3. Vascular calcification
4. Bone hypertrophy

Correct answer: 2. Periosteal reaction

Explanation: Periosteal reactions are classified as non-aggressive and aggressive. Non- aggressive solid periosteal reaction is usually seen in osteomyelitis. Aggressive periosteal reaction includes : Onion peel appearance (Ewing's sarcoma) Sunray appearance (osteosarcoma) Codman's triangle (osteosarcoma).